A 14-year-old boy has difficulty in expressing himself in writing and makes frequent spelling mistakes. He passes his examination with poor marks. However his mathematical ability and social adjustment are appropriate for his age. Which of the following is the most likely diagnosis?
1. Intellectual disability
2. Specific learning disability
3. Lack of interest in studies
4. Examination anxiety

Correct answer: 2. Specific learning disability

Explanation: Scholastic difficulty in a particular skill (written expression) is suggestive of specific learning disability. LEARNING DISORDERS: - Significant impairment in one or more scholastic skills, out of proportion to intellectual functioning (usually IQ is normal), only in a particular domain pt. faces problems. - Specific reading disorder (dyslexia) - Disorders of written expression (specific spelling disorder) - makes frequent spelling mistakes. - Specific disorders of arithmetic skills - Mixed disorders of scholastic skills.